Most common presentation of sick euthyroid state -
1. Low T3 with normal T4
2. Low T3 with low T4
3. Low T3 with high T4
4. High T3 with high T4

Correct answer: 1. Low T3 with normal T4

Explanation: Answer- A. Low T3 with normal T4 The most common hormone pattern in sick euthyroid syndrome (SES) is a decrease in total end unbound T3 levekl(low T3 syndtome) with normal levels of T4 aad TSH.